Chimney sweeper's cancer is also known as
1. Carcinoma scrotum
2. Carcinoma colon
3. Carcinoma lung
4. Carcinoma penis

Correct answer: 1. Carcinoma scrotum